All are seen in the floor of third ventricle except?
1. Mammillary body
2. Oculomotor nerve
3. Optic chiasma
4. Tuber cinereum

Correct answer: 2. Oculomotor nerve

Explanation: Boundaries of 3rd ventricle: LATERAL WALL - Thalamus, Hypothalamus FLOOR - Mammillary body , tegmentum part of mid brain , tuber cinereum ,infundibular stalk , optic chiasma. ROOF - Fornix ANTERIOR - lamina terminalis , anterior commissure POSTERIOR - pineal body , posterior commissure Extra edge Septum pellucidum Thin ,triangular,vertical double membrane separating the anterior horns of the left and right lateral ventricles of the brain. Extends between corpus callosum and the fornix.